Skin over femoral triangle supplied by
1. Iliohypogastric nerve
2. Ilioinguinal nerve
3. Genitofemoral nerve
4. Lateral femoral cutaneous nerve

Correct answer: 3. Genitofemoral nerve

Explanation: GENITOFEMORAL NERVE:- L1 L2Pierces the femoral sheath and overlying deep fascia 2 cm below the midinguinal point.Supplies most of the skin over femoral triangle. ILIOHYPOGASTRIC NERVE:-Branch of lumbar plexus.L1Anterior division. ILIOINGUINAL NERVE:-L1Emerges at the superficial inguinal ring Supplies skin at the root of penis or over the mons pubis in females, the anterior 1/3 rd of scrotum or labia majus, and superomedial aspect of thigh. LATERAL CUTANEOUS NERVE OF THIGH:-L2L3Branch of lumbar plexus Supplies skin over Anterolateral side of thigh and on the anterior part of gluteal region. {Reference: BDC 6E pg no.42}